All of the following binds to 50s ribosome unit except:
1. Macrolide
2. Lincosamide
3. Chloramphenicol
4. Tetracycline

Correct answer: 4. Tetracycline

Explanation: Aminoglycosidess and Tetracycline binds to 30s subunit of ribsome and inhibit protein synthesis.